All of the following show low glucose in pleural fluid, EXCEPT-
1. Empyema
2. Malignant pleural effusion
3. Rheumatoid arthritis
4. Dressler's syndrome

Correct answer: 4. Dressler's syndrome

Explanation: Answer is D (Dressler's Syndrome): Dressler's Syndrome is not associated with low glucose in pleural fluid. Rheumatoid Arthritis, Malignancy and Empyema (Bacterial infections) are all established causes of pleural effusion with low glucose. Pleural effusion with low glucose (< 60 mg/c11) Malignancy Bacterial infections Rheumatoid pleuritis